Not a component of Primary Health care is:
1. Equitable distribution
2. Community participation
3. Decentralised approach
4. Lntersectoral coordination

Correct answer: 3. Decentralised approach

Explanation: Decentralised approach